Confabulation is a defect of -
1. Memory
2. Intelligence
3. Attention
4. Concentration

Correct answer: 1. Memory

Explanation: Confabulation is a disorder of memory in which there is unintentional filling of gaps of memory with material which are untrue.